Most common cause of obstructive jaundice in children?
1. Biliary atresia
2. Criggler najjar syndrome
3. Byler disease
4. Caroli cyst

Correct answer: 1. Biliary atresia

Explanation: Biliary atresia: Biliary atresia is characterized by obliteration or discontinuity of the extrahepatic biliary system. The disorder represents the most common surgically treatable cause of cholestasis seen during the newborn period